The most common cause of parapharyngeal abscess in adults is?
1. TB
2. Tooth extraction
3. Tonsillitis
4. Lymphadenitis

Correct answer: 2. Tooth extraction

Explanation: The most common aetiology of parapharyngeal abscess is tonsillitis. The most common aetiology of parapharyngeal abscess in adults is dental caries or tooth extraction. Other causes of parapharyngeal abscess occur as a result of the spread of infection from parotid, retropharyngeal, prevertebral and submandibular space. (Ref: Scott Brown, 8th edition, VOL 3 )